Niacin is synthesised from -
1. Tryptophan
2. Tyrosine
3. Methionine
4. Phenylalanine

Correct answer: 1. Tryptophan

Explanation: - niacin is essential for the metabolism of carbohydrate, fat and protein. It is also essential for the normal functioning of skin , intestinal and nervous system. - it differs from other other B complex vitamins that an essential amino acid tryptophan serves as its precursor. Reference : Park's textbook of preventive and social medicine, 23rd edition, pg no:619